Caseous necrosis is not found in
1. TB
2. Histoplasmosis
3. CMV
4. Syphilis

Correct answer: 3. CMV

Explanation: Cytomegalovirus (CMV) ) is a genus of viruses in the order Herpesvirales, in the family Herpesviridae, in the subfamily Betaherpesvirinae. Humans and monkeys serve as natural hosts. There are currently eight species in this genus including the type species, human cytomegalovirus (HCMV, human herpesvirus 5, HHV-5), which is the species that infects humans. Diseases associated with HHV-5 include glandular fever, and pneumonia. In the medical literature, most mentions of CMV without further specification refer implicitly to human CMV. Human CMV is the most studied of all cytomegaloviruses. Ref Robbins 9/e p 56